Eburnation is seen in
1. Malunion
2. Non union
3. Osteomyelitis
4. Osteoradionecrosis

Correct answer: 2. Non union